Wallenberg syndrome involves which artery
1. Anterior inferior cerebellar artery
2. Posterior inferior cerebellar artery
3. Subclavian artery
4. Posterior cerebral artery

Correct answer: 2. Posterior inferior cerebellar artery

Explanation: WALLENBERG SYNDROME : Lateral medullary ischemia d/o ipsilateral vertebral artery ( in most cases) or PICA( in few cases ) Features of Wallenberg Syndrome : Ipsilateral paralysis of most muscles of soft palate, pharynx & larynx d/o injury to nucleus ambiguous (CN IX, X, XI ) Loss of pain & temperature from same side of face due todamage to spinal nucleus & tract of CN V Loss of pain & temperature on opposite side of the body, due to inducement of lateral spinothalamic tract. Giddiness d/o damage to vestibular nuclei.